Techniques used for protein expression proteomics study include(s):
1. Gene Array Chips
2. Mass Spectroscopy
3. PolyAcrylamide Gel Electrophoresis (PAGE)
4. All

Correct answer: 4. All

Explanation: A, B, C i.e. (Gene Array Chips, Two-Dimensional Electrophoresis >Mass Spectroscopy; PolyAcrylamide Gel Electrophoresis (PAGE) - Study of structure & products of gene is genomics. Genomics enables protein to be identified from small amount of sequence data. - Study of multiplication of proteins in disease process is called proteomics. The goal of proteomics is to identify the entire complement of proteins elaborated by a cell under diverse conditionsQ. Two dimensional electrophoresis, gene arrays (DNA chips), multidimensional protein identification technology (Mud PIT) employing successive rounds of chromatography are used to survey protein expression in proteomics. After 2D electrophoresis, individual polypeptides are extracted & analyzed by Edman sequencing or mass spectroscopy. Protein purity is most widely assessed by polyacrylamide gel electrophoresis (PAGE) - SDS (sodium dodecyl sulfate). Isoelectric focusing (IEF) is used in conjunction with SDS-PAGE for 2D (two dimensional) electrophoresis, which seperates polypeptides based on pI on one dimension and molecular mass (Mr) in second. 2D electrophoresis is particularly used for separating the components of complex mixtures of proteins.